Fluorescent dye for ophthalmological diagnosis is injected in –
1. Antecubital vein
2. Popliteal vein
3. Femoral vein
4. Subclavian vein

Correct answer: 1. Antecubital vein

Explanation: The technique of fluorescein angiography comprises rapidly injecting 5 ml of 10% solution of sterile sodium fluorescein dye in the antecubital vein and taking serial photographs of the fundus.